Mechanism of oxygen toxicity is?
1. Direct DNA damage
2. Apoptosis
3. Nuclear fragmentation
4. Free radicals

Correct answer: 4. Free radicals

Explanation: ANSWER: (D) Free radicalsREF: Pulmonary physiology by Michael G. Levitzky page Page 245, Yao & Artusio's anesthesiology: problem-oriented patient management - Page 67"The mechanism of oxygen toxicity is controversial but probably involves the formation of superoxide anions or other free radicals""The biochemical basis for the toxicity of oxygen is the partial reduction of oxygen by one or two electrons to form reactive oxygen species"